A person keeps a man under his power and threatens him to assault or cause harm without any intension to kill comes under
1. Section 44
2. Section 351
3. Section 319
4. Section 320

Correct answer: 2. Section 351

Explanation: Ans. b. Section 351 Assault An assault is an offer or threat or attempt to apply to body of another in a hostile manner (Section 351, 1PC)Q.